Beaded feel of fallopian tube on hsg is seen in.,
1. TB
2. Chlamydia
3. Gonococcal infection
4. Syphillis

Correct answer: 1. TB

Explanation: Ans. is 'a' i.e., TB Hvsterosalpingographic findings of tubercular salpingitisA rigid non-peristaltic pipe-like tube, called lead pipe appearanceBeading and variation in filling densityCalcification of the tubeComeal blockA jagged fluffiness of the tubal outlineVascular or lymphatic intravasation of the dyeTobacco-pouch and dilated distal end of tubes due to hydrosalpinx and pyosalpinx.o In a proven case of genital TB, Hysterosalpingography is contraindicated.